In physiology of the menstrual cycle, all are true EXCEPT ?
1. Ovulation follows 36 hours after the onset of LH surge
2. Follicular phase is constant
3. Withdrawal of endogenous progesterone results in endometrial breakdown and subsequent menstruation
4. Average cycle length is 21-35 days

Correct answer: 2. Follicular phase is constant

Explanation: Menstrual cycle Follicular phase is variable. Luteal phase is constant FSH levels rise during ovulation Ovulation follows 36 hours after the onset of LH surge or 10-12 hours after LH peak Withdrawal of endogenous progesterone results in endometrial breakdown and subsequent menstruation Average cycle length is 21-35 days